Inferior rib notching is seen in all except:
1. Blalock taussig shunt operation
2. Aortic interruption
3. Waterson Cooley's shunt
4. Pulmonary stenosis with VSD

Correct answer: 3. Waterson Cooley's shunt

Explanation: Ans. Waterson Cooley's shunt